Autoimmune hemolytic anemia is seen in
1. Sickle cell anemia
2. Chronic lymphocytic leukemia (CLL)
3. Acute myelocytic leukemia (AML)
4. Multiple myeloma

Correct answer: 2. Chronic lymphocytic leukemia (CLL)

Explanation: Answer is B (Chronic lymphatic leukemia) Leukemias especially of the CLL type are associated with Autoimmune hemolytic anemia - Harrison Hemolvsis due to Antibodies: Warm-Antibody immunohemolytic anemia Cold-Antibody immunohemolytic Anemia 1. 2. 3. 4. 5. 6. Idiopathic Lymphomas: Chronic lymphocytic leukemia, non-Hodgkin's lymphomas, Hodgkin'd disease (infrequent) SLE and other collagen-vascular diseases Drugs (a) a-Methyldopa type (autoantibody to Rh antigens) (b) Penicillin type (stable hapten) (c) Quinidine type (unstable hapten) Postviral infections Other tumors (rare) I. 2. Cold agglutinin disease (a) Acute: Mycoplasma infection, infectious mononucleosis (b) Chronic: Idiopathic, lymphoma Paroxysmal cold hemoglobinuria